True regarding Dots Target -
1. Case finding 80%, cure rate 85%
2. Case finding 80%, cure rate 80%
3. Case finding 70%, cure rate 75%
4. Case finding 70%, cure rate 85%

Correct answer: 4. Case finding 70%, cure rate 85%

Explanation: DOTS is a strategy adopted by RNTCP to revitalise the TB control programme in India. Objectives are: achievement of atleast 85% cure rate,of infectious case of tuberculosis,through DOTS Augmentation of case ginding activities through quality sputum microscopy to detect at least 70 % of estimated cases. Parks textbook of preventive and social medicine.K Park. Edition 23.Pg no: 427